Which of the following is not used for routine faecal culture
1. DCA
2. MacConkey
3. Tellurite blood agar
4. Blood agar

Correct answer: 3. Tellurite blood agar

Explanation: Hoyle's agar is a selective medium that uses tellurite to differentially select Corynebacterium diphtheriae from other upper respiratory tract flora. The medium appears cream to yellow colored, and takes the form of a free-floating powder. Ref ananthnarayana and panikers microbiology textbook 8/e